A hospital has always some beds vacant for emergency, isolation, emergency etc. These vacant beds are known as:
1. Essential bed space
2. Mandatory bed space
3. Dead bed space
4. None of the above

Correct answer: 3. Dead bed space

Explanation: A hospital has always some beds vacant for emergency, isolation, emergency etc. These vacant beds are known as dead bed space. This accounts for around 15 to 20%. Ref: Textbook of community medicine, S. Lal, 3rd edition pg: 686.